Following hormones secreted by placenta exclusively :a) HCGb) Estrogenc) HPLd) PRL
1. a
2. bc
3. ac
4. b

Correct answer: 3. ac

Explanation: Placenta produces a number of hormones.